Phagocytosis of C.neoformans is inhibited by ?
1. Cryptococcal capsular material
2. The size of the yeast cells
3. The cells walls
4. Toxins produced by the organism

Correct answer: 1. Cryptococcal capsular material

Explanation: Ans. is 'a' i.e., Cryptococcal Capsular material Virulence factor of cryptococcus neoformans Polysaccharide capsule --> Inhibits phagocytosis by WBC Melanin production --> Due to enzyme phenolic oxidase